Which of the following is not a pox virus-
1. Cow pox
2. Molluscum contagiosum
3. Small pox
4. Chicken pox

Correct answer: 4. Chicken pox

Explanation: Ans. is 'd' i.e., Chicken pox Poxviruses causing disease in humans Variola (small pox) * Buffalopox * Cowpox * Molluscum contagiosum Vaccinia * Monkeypox * Orf * Tanapox